Earliest feature of parkinsonism?
1. Anosmia
2. Rigidity
3. Postural instability
4. Freezing

Correct answer: 1. Anosmia

Explanation: Ans. (a) AnosmiaRef: Harrison 19th ed. / 2609Non-motor symptoms may precede motor symptoms of Parkinsons diagnosis by years. The most recognizable early symptoms include:* Loss of sense of smell, constipation* REM behavior disorder* mood disorders* Orthostatic hypotensionSubsequently Motor Features Appear1. Tremors (resting 4-6 Hz)2. Rigidity3. Bradykinesia4. Good Response to levodopa